Periochip is a commercially available local drug delivery system containing:
1. Doxycycline
2. Chtorhexidine
3. Minocycline
4. Metronidazole

Correct answer: 2. Chtorhexidine